Which bone is not useful for sex determination?
1. Pelvis
2. Skull
3. Clavicle
4. Femur

Correct answer: 3. Clavicle

Explanation: Important bones used for sex determination are skull, mandible, pelvis, vertebra, femur